A 16-year-old boy presented with asymptomatic, multiple, erythematous, annular lesions with a collarette of scales at the periphery of the lesions present on the trunk. The most likely diagnosis is:
1. Pityriasis versicolor
2. Pityriasis alba
3. Pirityasis rosea
4. Pityriasis rubra pilaris

Correct answer: 3. Pirityasis rosea

Explanation: Lesions predominantly localized to the trunk and their erythematous nature with other features of pityriasis lead to diagnosis of pityriasis rosea. Ref: Anthony Du Vivier, Phillip H. McKee, Chapter 6, "Pityriasis Rosea and Pityriasis Rubra Pilaris", In the book, "Atlas of Clinical Dermatology", Elsivier Publication, 2002, 3rd Edition, Spain, Page 87